Which of the following is an example of dysfunctional uterine bleeding :
1. Hypothyroidsm
2. PID
3. Cervical erosion
4. None

Correct answer: 4. None